The following protein defects can cause hereditary spherocytosis, EXCEPT:
1. Ankyrin
2. Palladin
3. Glycophorin C
4. Anion transport protein

Correct answer: 3. Glycophorin C

Explanation: Hereditary spherocytosis is not associated with the abnormality in Glycophorin C. The four membrane anchoring proteins involved in hereditary spherocytosis have been identified as Ankyrin, Protein 3, Spectrin and Palladin. Approximately 50% have a defect in Ankyrin, 25% in protein 3 and 25% exhibit mutations in Spectrin. The deficiency of palladin is a less common cause for hereditary spherocytosis. Ref: Pathologic Basis Of Disease, Robbins, 7th Edition, Page 625; Harrisons Principles of Internal Medicine, 16th Edition, Page 608 & 609.